True about Alphal antitrypsin deficiency is?
1. Deficiency of protease inhibitor
2. Autosomal recessive
3. May cause cholestatic jaundice
4. All of the above

Correct answer: 4. All of the above

Explanation: ANSWER: (D) All of the aboveREF: Robbins 7th ed p. 913Alpha 1 antitrypsin deficiency:Due to protease inhibitor deficiencyIncreased neutrophill elastaseNeonatal cholestasis may occur,Hepatocellular carcinoma may also developPulmonary disease may occur in form of emphysemaGene located on chromosome 14